Colonic Pseudo-obstruction occurs in all, except -
1. Diabetes mellitus
2. Dermatomyositis
3. Scleroderma
4. Hyperthyroidism

Correct answer: 4. Hyperthyroidism

Explanation: Pseudo obstruction is seen in hypothyroidism, not hyperthyroidism.